Most common cardiac manifestation of Holt Oram syndrome is ?
1. ASD
2. VSD
3. tachycardia
4. PDA

Correct answer: 1. ASD

Explanation: Holt-Oram syndrome (also called Heart and Hand Syndrome, atrio-digital syndrome, atriodigital dysplasia, cardiac-limb syndrome, heart-hand syndrome type 1, HOS, ventriculo-radial syndrome is an autosomal dominant disorder that affects bones in the arms and hands (the upper limbs) and may also cause heart problems. The syndrome includes an absent radial bone in the arms, an atrial septal defect , and a first degree heart block Ref Davidson 23rd edition pg 467